Most common cardiac anomaly in Turner\'s syndrome is ?
1. Coarctation of aorta
2. Bicuspid aortic valve
3. Vetricular septal defect
4. Atrial septal defect

Correct answer: 2. Bicuspid aortic valve

Explanation: Turner's syndrome is commonly associated with congenital heart diseases.
The most common anomaly associated is bicuspid Aortic valves in one third to one half of the patients (50%).
Other congential anomalies associated with Turner's syndrome → Aortic coarctation (30%), Aortic stenosis, Mitral valve prolapse, Anomalous pulmonary venous drainage.